Abbe-Estlander Flap is used for
1. Lip
2. Tongue
3. Eyelid
4. Ears

Correct answer: 1. Lip

Explanation: .a flap is a skin graft which has its own blood supply . its different from other skin grafts in which revascularisation is done from the recipient bed abbey flap is used for lip reconstruction surgery. it is based on main artery of the orbicularis occuli , the labial artery